The correlation coefficient between two variables x and y of -0.99 shows
1. No association
2. Weak association
3. Strong association
4. None of the above

Correct answer: 3. Strong association

Explanation: Correlation coefficients are used in statistics to measure how strong a relationship is between two variables. Pearson's correlation is a correlation coefficient commonly used in linear regression. Correlation coefficient formulas are used to find how strong a relationship is between data. The formulas return a value between -1 and 1, where:1 indicates a strong positive relationship.-1 indicates a strong negative relationship.A result of zero indicates no relationship at all